Schneider's Ist rank symptoms seen in:
1. Delusion
2. Hallusination
3. Schizoid personality
4. Schizophrenia

Correct answer: 4. Schizophrenia

Explanation: D i.e. Schizophrenia